All are features of Kawasaki disease, except
1. Peak incidence at age > 5 years
2. Aneurysm of coronary artery
3. Enlarged lymphnodes
4. Fever

Correct answer: 1. Peak incidence at age > 5 years

Explanation: Answer is A (Peak incidence at age > 5 years) : 80% cases occur prior to age of 5 years with peak incidence < 2 years. Kawasaki disease is an Acute febrile multisystem disease of children. Prolonged fever over 5 days that is unresponsive to antibiotics is seen. Although the disease is generally benign & self limiting it is associated c coronary artery aneurysm in 25% of cases Non suppurative cervical lymphadenopathy is characteristic